Horrock's appar is used for-
1. Wind velocity
2. Chlorine demand
3. Water contamination
4. Coliform count

Correct answer: 2. Chlorine demand

Explanation: Ans. is 'b' i.e., Chlorine demand InstrumentUtilityHorrocks ApparatusChlorinator/ ChloronomeChloroscopeChlorine demand estimationMixing or regulating dose of chlorineMeasuring residual level of chlorine